True about the inferior mesenteric artery -
1. Continues as inferior rectal artery
2. Takes part in formation of marginal artery
3. Arises from coeliac trunk
4. Supplies mid gut

Correct answer: 2. Takes part in formation of marginal artery

Explanation: Inferior mesenteric artery arises from the abdominal aorta and supplies hindgut.
It continues as a superior rectal artery.
It takes part in the formation of the marginal artery of Drummond.